All are complications of ileal resection EXCEPT:
1. Megaloblastic anemia
2. Iron deficiency anemia
3. Gastric hypertension
4. Malabsorption syndrome

Correct answer: 2. Iron deficiency anemia

Explanation: Ans. B i.e. Iron deficiency anemia Iron deficiency can result from 1) dietary lack, 2) impaired absorption, 3) increased requirement, or (most importantly) 4) chronic blood loss.